Which of the following has a single ossification centre only?
1. Clavicle
2. Carpals
3. Metacarpals
4. Metatarsals

Correct answer: 2. Carpals

Explanation: Carpals have only one ossification centre while about 3 centers are present for clavicle BD CHAURASIA HUMAN ANATOMY Vol 1